Least glucocorticoid action is seen with ?
1. Fludrocortisone
2. Cortisone
3. Dexamethasone
4. Betamethasone

Correct answer: 2. Cortisone

Explanation: Ans. is 'b' i.e., Cortisone Least potent glucocorticoid --> Cortisone